ORS required during first 4 hours in a 20 kg child?
1. 200-400 ml
2. 400-600 ml
3. 600-800 ml
4. 1200-2200 ml

Correct answer: 4. 1200-2200 ml

Explanation: Ans. is 'd' i.e., 1200-2200 ml Weight between 16-29.9 kg - ORS requirment is 1200-2200 ml during first 4 hours. Guidelines for ORS therapy during first four hours Age < 4 mth 4- I 1 mths 1-2 yrs 2-4 yrs 5-14 yrs 15 yrs Weight (Kg) < 5 5-7.9 8-10.9 11-15.9 16-29.9 30 or over ORS (ml) 200-400 400-600 600-800 800-1200 1200-2200 2200-4000